The first step in management of head injury is:
1. Secure airway
2. I.V. mannitol
3. I.V. dexamethasone
4. Blood transfusion

Correct answer: 1. Secure airway